Drug of choice for cisplatin induced emesis is -
1. Metoclopramide
2. Domperidone
3. Ondansetron
4. Octreotide

Correct answer: 3. Ondansetron